Getting sexual gratification by hearing sounds of sexual intercourse is
1. Myxoscopiua
2. Scatalogia
3. Sexual oralism
4. Ecoutage

Correct answer: 4. Ecoutage

Explanation: Ecoutage - Getting sexual gratification by hearing sounds of sexual intercourse Mixoscopia - Getting sexual gratification by observing another couple performing sexual intercourse